Residual chlorine in chlorination of water should be-
1. 1 mg// after 1 hr
2. 0.5 mg/1 after 1 hr
3. 1 melt after 30 mins
4. 0.5 mg/1 after 30 mins

Correct answer: 2. 0.5 mg/1 after 1 hr

Explanation: Ans. is 'b' i.e., 0.5 mg/I, afterl hr